Which of the following helminth produces bile stained eggs?
1. Ancylostoma duodenale
2. Taenia solium
3. Enterobius vermicularis
4. Necator americanus

Correct answer: 2. Taenia solium

Explanation: Bile stained eggs trichuris trichura ascaris lumbricoides taenia solium &saginata Non bile stained eggs ancylostoma duodenale Hymenolepis nana enterobius vermicularis necator americanus